Warfarin therapy is monitored by:
1. PT INR
2. apTT
3. Vit K levels
4. PT

Correct answer: 1. PT INR

Explanation: Ans. (a) PT INR(Ref: Wintrobe's 12th ed/pg 1489)Patients with recurrent thrombosis should receive longterm warfarin therapy at a dosage to maintain an international normalized ratio (INR) value of 2.0 to 3.0.